A patient of schizophrenia was started on haloperidol 5 mg. Next day, he presented with uprolling of eyes. Complete neurological examination revealed no spasticity or any other abnormality. Visual acuity and ophthalmoscopic findings are normal. Most likely diagnosis is :
1. Akathisia
2. Acute dystonia
3. Seizure
4. Tardive dyskinesia

Correct answer: 2. Acute dystonia

Explanation: Acute muscular dystonia is the earliest appearing extrapyramidal symptom caused by antipsychotic drugs like haloperidol. REF: HARRISONS 20TH ED.